Spatial orientation of nerve fibers from the different parts of the body exists in the dorsal column of medial lemniscal system
1. The fibers from the lower part of the body lie laterally
2. The fibers from the trunk is present centrally
3. The fibers from the upper part of the body are pushed centrally
4. The fibers from the lower part of the body lie toward the center of the cord

Correct answer: 4. The fibers from the lower part of the body lie toward the center of the cord

Explanation: (D) The fibers from the lower part of the body lie toward the center of the cord> Axons of the spinothalamic tracts from sacral and lumbar segments of the body are pushed laterally by axons crossing the midline at successively higher levels.> On the other hand, sacral and lumbar dorsal column fibers are pushed medially by fibers from higher segments.> Consequently, both of these ascending systems are laminated, with cervical, thoracic, lumbar, and sacral segments represented from medial to lateral in the anterolateral pathways and sacral to cervical segments from medial to lateral in the dorsal columns.